Chemical constituent of cigarette lighter used for volatile substance abuse is
1. Fluorocarbon
2. Butane
3. Acetone
4. Toluene

Correct answer: 2. Butane

Explanation: CIGARETTE LIGHTER - BUTANE Fluorocarbon - AEROSOLS Acetone - GLUES, DYES, NAIL POLISH REMOVER Toluene - ACRYLIC PAINTS